Mallet finger is:
1. Avulsion fracture of extensor tendon of distal phalanx
2. Fracture of distal phalanx
3. Fracture of middle phalanx
4. Fracture of proximal phalanx

Correct answer: 1. Avulsion fracture of extensor tendon of distal phalanx

Explanation: Ans: a (Avulsion fracture of extensor tendon of distal phalanx)Ref: Maheshwari Ortho, 3rd ed, p. 100